Hypoacusis is caused by paralysis of which of the following muscle ?
1. mylohyoid
2. tensor tympani
3. tensor vili palatini
4. macula densa

Correct answer: 2. tensor tympani

Explanation: Hypoacusis, i.e., partial deafness to low pitched sounds due to paralysis of tensor tympani muscle. REF : B D Chaurasia's Human Anatomy , seventh edition , volume 4 , pg, no., 69.